Severity of mitral stenosis is assessed by:
1. Loud opening snap
2. Length of murmur
3. Loud S1
4. Splitting S2

Correct answer: 2. Length of murmur

Explanation: Answer is B (Length of murmur) 'The duration of murmur correlates with the severity of stenosis - Harrison Features suggesting severe MS are : Proximity of S2 - O.S. gapQ,and Longer duration of mid-diastolic murmur Q